H type endodontic instrument has a spiral edge arranged to allow cutting during
1. Pushing stroke
2. Pulling stroke
3. Circular stroke
4. Oblong stroke

Correct answer: 2. Pulling stroke